Paradoxical carriers are-
1. A person who acquires the microorganism due to his contact with the patient.
2. A person who acquires the microorganism another carrier.
3. A person who is clinically recovered from an infectious disease but still capable of transmitting the infectious agent to others.
4. None

Correct answer: 2. A person who acquires the microorganism another carrier.

Explanation: Ans. B.A person who acquires the microorganism another carrier.Paradoxical carrier are defined as person who acquires the microorganism another carrier.